Ovulation in a female with 38 day cycle is :
1. 14th day
2. 8th day
3. 24th day
4. 30th day

Correct answer: 3. 24th day

Explanation: 24th day